Tuberculin test denotes:
1. Previous or present sensitivity to tubercle proteins
2. Patient is resistant to TB
3. Person is susceptible to TB
4. Protective immune status of individual against TB

Correct answer: 1. Previous or present sensitivity to tubercle proteins

Explanation: Ans. is 'a' i.e., Previous or present sensitivity to tubercle proteins(a) Tuberculin test denotes Type IV (delayed) hypersensitivity to tuberculoprotein 0.1 ml (Purified protein derivative) and used in diagnosis of latent tuberculosis.(b) Positive tuberculin test indicates exposure to Mycobacterium tuberculosis in the form of infection or immunization with or without active disease.